Which one of the following indicate the function of tectospinal tract present in the ventral column of spinal cord?
1. Gross and postural motor function
2. Postural reflexes
3. Reflex turning of head
4. Coordination of head and eye movements

Correct answer: 3. Reflex turning of head

Explanation: Rubrospinal tract which lies in the ventral column of spinal cord originates in the midbrain and ends in the ventral horn interneurons. Its main function is to regulate reflex turning of head.Anterior corticospinal tract is involved in maintaining gross and postural motor function.Lateral corticospinal tract is involved in maintaining fine motor function and modulating sensory function.Vestibulospinal tract is involved in maintaining postural reflexes.Medial longitudinal fasciculus controls the coordination of head and eye movements.Ref: Waxman S.G. (2010). Chapter 5. The Spinal Cord. In S.G. Waxman (Ed), Clinical Neuroanatomy, 26e.